All of the following disorders are associated with a wide anterior fontanelle except ______
1. Achondroplasia
2. Hydrocephaly
3. Trisomy 21
4. Craniosynostosis

Correct answer: 4. Craniosynostosis

Explanation: In craniosynostosis, infants have small fontanelles. Craniosynostosis is premature fusion of cranial sutures An infant has 6 fontanelle and the triangular posterior fontanelle Closure of the anterior fontanelle occurs in 18 months Closure of the posterior fontanelle occurs over the ensuing 6-8 weeks; its persistence suggests underlying hydrocephalus or congenital hypothyroidism Presence of a third fontanelle may suggest trisomy 21 or prematurity The presence of excessively large anterior fontanelles and small fontanelles has been associated with several disorders: Large Fontanelles Small Fontanelles Achondroplasia Cleidocranial dystosis Congenital rubella syndrome Hydrocephaly Osteogenesis imperfecta Prematurity Russell-Silver syndrome Trisomies 13,18 and 21 Vitamin D deficiency, rickets Microcephaly Craniosynostosis Congenital hyperthyroidism Wormian bones Ref: Nelson textbook of pediatrics 21st edition Pgno: 3079, 869